First autologous renal transplantation was done by?
1. Higgins
2. Studor
3. Kavosis
4. Hardy

Correct answer: 4. Hardy